Epidemic is -
1. Short term fluctuation
2. Log term fluctuation
3. Secular trend
4. All of the above

Correct answer: 1. Short term fluctuation

Explanation: Ans. is 'a' i.e., Short term fluctuation * There are three kinds of time trends or fluctuations in disease occurenceA. Short term fluctuations - epidemics.B. Secular trends or long term fluctuations.C. Periodic fluctuation.